Which of the following causes metabolic acidoosis?
1. Mineralocorticoid deficiency
2. Bartter's syndrome
3. Thiazide diuretic therapy
4. Recurrent vomiting

Correct answer: 1. Mineralocorticoid deficiency

Explanation: Bartter's syndrome, thiazide diuretic therapy and recurrent vomiting results in metabolic alkalois. Mineralocorticoid deficiency results in metabolic acidosis. Ref: Harrisons principles of internal medicine, 18th edition, Page: 369.